Psoralen-A is used in the treatment of -
1. Pemphigus
2. Vitiligo
3. Pityriasis alba
4. Icthyosis

Correct answer: 2. Vitiligo

Explanation: Psoralen and many of its derivatives are naturally occurring tricyclic furocoumarins. The derivative most widely used in photochemotherapy is 8 - methoxypsoralen (8MOP, methoxsalen, xanthotoxin) which is principally of plant origin but it is available as a synthetic drug. 4, 5, 8-trimethyl psoralen (TMP, trioxsalen) is a synthetic compound which is less phototoxic after oral administration and is primarily used for the treatment of vitiligo. ijdvl journal of dermatology, psoralens.